The most common manifestation of congenital toxoplasmosis  -
1. Hydrocephalus
2. Chorioretinitis
3. Hepatospienomegaly
4. Thrombocytopenia

Correct answer: 2. Chorioretinitis